Of the three dimensions of color, the one which describes the dominant color of the object is:
1. Hue
2. Value
3. Chroma
4. Maverick

Correct answer: 1. Hue